Which helps in the production of more glucose?
1. Pyruvate kinase
2. Pyruvate carboxylase
3. PDH
4. Pyruvate decarboxylase

Correct answer: 2. Pyruvate carboxylase

Explanation: Reversal of the reaction catalyzed by pyruvate kinase in glycolysis involves two endothermic reactions. Mitochondrial pyruvate carboxylase catalyzes the carboxylation of pyruvate to oxaloacetate, Key Gluconeogenic Enzymes 1. Pyruvate carboxylase.Pyruvate Carboxylase Reaction Pyruvate in the cytoplasm enters the mitochondria. Then, carboxylation of pyruvate to oxaloacetate is catalysed by a mitochondrial enzyme, pyruvate carboxylase (Fig. 9.24). It needs the co-enzymes biotin and ATP.Ref: DM Vasudevan, 7th edition, Chapter 9